Which of the following statements about pneumococcus is false -
1. Capsule aids in virulence
2. Commonest cause of otitis media
3. Causes mild form of meningitis
4. Respiratory tract of carriers is the most important source of infection

Correct answer: 3. Causes mild form of meningitis